Which purine base contains an amino group at carbon 6?
1. Guanine
2. Uracil
3. Adenine
4. Cytosine

Correct answer: 3. Adenine

Explanation: Reference: Harpers illustrated biochemistry 30th edition